The tumour exclusively found in parotid gland:
1. Warthin tumour
2. Adenocarcinoma
3. Pleomorphic adenoma
4. Acinar cell tumour

Correct answer: 1. Warthin tumour

Explanation: Warthin tumour/papillary cystadenoma lymphomatosum is virtually restricted to parotid gland. Occur more commonly in male than female.